To increase resistance form of an excessively tapered preparation:
1. Reduce height of preparation to shorten arc of rotation
2. Increase cervical reduction to taper
3. Add groove
4. Use adhesive cement

Correct answer: 3. Add groove